Other than koplik spots, pathognomonic of measles is:
1. Warthin ﬁnkeldey giant cells
2. Torres bodies
3. Negri bodies
4. All of the above

Correct answer: 1. Warthin ﬁnkeldey giant cells

Explanation: Warthin ﬁnkeldey giant cells: Found in lymphoid organs lungs and sputum and have eosinophilic nuclear and cytoplasmic inclusion bodies. These are pathognomic of measles
Ref: Shafer's textbook of oral pathology 7th edition page 348